Puppe's rule is
1. Two fracture lines cross at right angles
2. Two fracture lines cross at acute angle
3. Two fracture lines never cross each other
4. Two fracture lines cross at obtuse angle

Correct answer: 3. Two fracture lines never cross each other

Explanation: Two fracture lines will never cross( puppe's rule) . Applying this rule it is easy to find out the sequence of injuries, i,e which fracture has occured first. Ref: FORENSIC MEDICINE AND TOXICOLOGY Dr PC IGNATIUS THIRD EDITION PAGE 162